The most common pure germ cell tumour of the ovary:
1. Choriocarcinoma
2. DysgerminOma
3. Embryonal cell tumor
4. Malignant Teratoma

Correct answer: 2. DysgerminOma